Decreased O2 affinity of Hb in blood with decreased pH:
1. Haldane effect
2. Double Haldane effect
3. Bohr effect
4. Double Bohr effect

Correct answer: 3. Bohr effect

Explanation: Ans. C. Bohr effecta. Bohr effect:i. Definition the decrease in O2 affinity of Hb when the pH of the blood falls is called the Bohr effectii. Deoxy Hb binds H+ more actively than does oxy Hb.iii. PH of blood falls as its CO2 content increases so that when the PCO2 rises the curve shifts to the right and the P50 rises this is Bohr effect.b. Haldone effect: CO2 transport in blood:i. Definition the ability of deoxygenated - blood to carry more CO2 than oxygenated Hb.ii. Deoxygenated Hb (weak acid) binds more H+ than oxy Hb (stronger acid) does and forms carbamino compound (Hb-CO2 ).iii. Venous blood carries more CO2 than Arterial blood and CO2 uptake is facilitated in tissues and CO2 release is facilitated in the lungs.iv. Thus the Haldane effect approximately doubles the amount of CO2 released from the blood in the lungs and approximately doubles the pickup of CO2 in the tissues